Enamel spindles are formed by
1. Cracks
2. Ameloblasts
3. Odontoblasts
4. Hypocalcified rods

Correct answer: 3. Odontoblasts